Ram Prashad is admitted to Guru Teg Bahadur Hospital with respiratory infection for which antibiotic tobramycin is ordered. The clearance and Vd of tobramycin in him are 160 ml/min and 40 L, respectively. If you wish to give Ram Prashad an intravenous loading dose to achieve the therapeutic plasma concentration of 4 mg/L rapidly, how much should be given?
1. 0.1 mg
2. 10 mg
3. 115.2 mg
4. 160 mg

Correct answer: 4. 160 mg

Explanation: Loading dose = Vd x target plasma cone.
= 40 L x 4 mg/L
= 160 mg
Clearance plays no role in the determination of loading dose. It is given to confuse you.